Rare complication of measles -
1. Diarrhoea
2. Pneumonia
3. Otitis media
4. SSPE

Correct answer: 4. SSPE

Explanation: Ans. is 'd' i.e., SSPE o Subacute sclerosing panencephalitis (SSPE) is a rare complication of measles, which develops many years after the initial infection - PSM Park 19th/e p. 128o The most common complications are: measles- associated diarrhea, pneumonia and otitis media -PSM Park 19th/e-128Complications of MeaslesRespiratory tractCNSGastrointestinalOthers (rare)o Laiyngitiso Croupo Bronchitiso Otitis media (M.C.)o Pneumoniao Encephalitiso Transverse myelitiso SSPEo Gastroenteritiso Hepatitis]o Appendicitiso Ileocolitiso Mesentric adenitiso Myocarditiso Glomerulonephritiso Thrombocytopenic purpurao Exacerbation of preexisting T.B.